Counter-transference is -
1. Patient's feeling towards therapist
2. Doctor's feeling towards the patient
3. Psychic connection between patient and disease
4. Type of defence mechanism

Correct answer: 2. Doctor's feeling towards the patient

Explanation: Transference → Patient's feeling for a therapist.
Counter-transference → Therapist's feeling for the patient.